A 16 years old girl failed in her final examination. Disgusted with life , she cut across the front of wrist at the flexor retinaculum . She was rushed to hospital and the surgeon noticed that the cut was superficial. All the following structures would have been damaged by this cut EXCEPT:
1. Ulnar nerve
2. Median nerve
3. Palmar cutaneous branch of median nerve
4. Superficial branch of radial artery

Correct answer: 2. Median nerve

Explanation: Median nerve lies deep to the flexor retinaculum and is not damaged by cuts which are superficial. Structures crossing superficial to flexor retinaculum are:From medial to lateral:Superficial branch of ulnar nerve and ulnar arteryTendon of palmaris longusPalmar cutaneous branch of median nerveOrigin of the thenar musclesStructures passing deep to flexor retinaculum are:Median nerveTendons of flexor digitorum superficialisTendon of flexor digitorum profundusTendon of flexor pollicis longusUlnar bursa and radial bursaRef: The Anatomy of General Surgical Operations By Glyn G. Jamieson page 209.